When deep gingival extension of proximal box is anticipated, which  of the following is used?
1. Round toothpick wedge
2. Triangular wedge
3. Elliot’s separator
4. Kesling separator

Correct answer: 2. Triangular wedge

Explanation: To protect the gingiva and the rubber dam when extending the gingival wall apically, a wooden wedge should already be in place in the gingival embrasure to depress soft tissue and the rubber dam. A round toothpick wedge is preferred unless a deep gingival extension is anticipated. A triangular (i.e., anatomic) wedge is more appropriate for deep gingival extensions because the greatest cross-sectional dimension of the wedge is at its base; as the gingival wall is cut, the bur’s end corner may shave the wedge slightly.